Commonest type of Ano rectal abscess is ?
1. Ischio rectal
2. Submucous
3. Pelvi-rectal
4. Perianal

Correct answer: 4. Perianal

Explanation: Ans. is 'd' i.e., Perianal